Nephrocalcinosis is associated with all of the following, except:
1. Hypoparathyroidism
2. Multiple myeloma
3. Milk-alkali syndrome
4. Hyperparathyroidism

Correct answer: 1. Hypoparathyroidism

Explanation: Nephrocalcinosis: Disorders associated with hypercalcemia, such as hyperparathyroidism, multiple myeloma, vitamin D intoxication, metastatic cancer, or excess calcium intake (milk-alkali syndrome), may induce the formation of calcium stones and deposition of calcium in the kidney (nephrocalcinosis). Extensive degrees of calcinosis, under certain conditions, may lead to chronic tubulointerstitial disease and renal insufficiency.